Regarding mumps, which is true?
1. Causes SSPE
2. Mumps causes aseptic meningitis in children
3. Sublingual gland is involved commonly
4. All

Correct answer: 2. Mumps causes aseptic meningitis in children

Explanation: Ans. (b) Mumps cause